A patient with ascites comes to your clinic for paracentesis and you decide to use a midline approach to drain the fluid.Which of these structures is not pierced in this approach
1. Transversalis fascia
2. Extraperitoneal fat
3. Campers and Scarpa
4. Transversus abdominis muscle

Correct answer: 4. Transversus abdominis muscle

Explanation: Transversus abdominis is not pierced when paracentesis is performed using the midline approach Layers of abdomen if pierced in the midline approach (from superficial to deep) *Skin *Superficial fascia *linea alba *transveralis fascia *Extraperitoneal fat *parietal peritoneum There are no muscles pierced in the midline approach ***layers of abdomen if pierced in the *Skin *Superficial fascia *External oblique *internal oblique *transversus abdominis *transversalis fascia *Extraperitoneal fat *parietal peritoneum CLINICAL NOTE:Rectus abdominis results from a seperation of the two rectum abdominis muscles with an intact linea alba